Skin TB which involves skin after involving lymph nodes –
1. Scrofuloderma
2. Lupus vulgaris
3. Lupus erythematous
4. Lupus pernio

Correct answer: 1. Scrofuloderma

Explanation: Scrofulodenna is cutaneous tuberculosis due to direct extension of infection from an underlying tuberculosis present either in a lymphnode, bone or a joint.